Which of the following RNA has abnormal purine bases
1. t-RNA
2. m-RNA
3. r-RNA
4. 16S RNA

Correct answer: 1. t-RNA

Explanation: Modified bases are present in tRNA.